Features of meduallary carcinoma thyroid are all except
1. Arises from parafollicular cells
2. Amyloid infiltrate is present on histology
3. 10-25% cases are familial
4. Constipation occurs

Correct answer: 4. Constipation occurs

Explanation: Medullary thyroid cancer originates in the parafollicular cells, or C cells, which reside in the upper poles of the thyroid lobes and are of neural crest origin. MTC occurs most commonly in a sporadic form (80%); it occurs less commonly as an autosomal dominant inherited disorder such as MEN2A, MEN2B, and familial medullary thyroid carcinoma (FMTC). A patient with a sporadic MTC typically has one of two manifestations: a palpable mass in the thyroid that is present in most the finding of an elevated calcitonin level. This calcitonin excess may rarely result in symptoms of diarrhea and flushing in patients with advanced disease Amyloid infiltrate is seen in medullary carcinoma Source : Sabiston 20th edition Pg : 909